Calcification is best detected by
1. X-ray
2. USG
3. CT Scen
4. MRI

Correct answer: 3. CT Scen

Explanation: C i.e. CT Scan